16.the most appropriate management for antrochoanal poplyp in children is:
1. Cadwell luc operation
2. Intranasal polypectomy
3. Corticosteroids
4. Wait and watch

Correct answer: 2. Intranasal polypectomy

Explanation: Fess with polypectomy would be the best management for the patient. Ref.Dhingra 6/e p 175.